All are true for Philadelphia chromosome, EXCEPT
1. Acquired genetic defect
2. Seen in plasma cell tumors
3. It is a marker of CML
4. Translocation of chromosome from 22 to Ch. 9

Correct answer: 2. Seen in plasma cell tumors